What is the characteristic feature in Wegner's glomerulonephritis?
1. Granulomas in the vessel wall
2. Focal Necrotizing Glomerulonephritis
3. Nodular Glomerulo Sclerosis
4. Interstitial Granuloma

Correct answer: 2. Focal Necrotizing Glomerulonephritis

Explanation: . Focal Necrotizing Glomerulonephritis